Which test is used to assess hearing loss IN CHILDREN?
1. BERA
2. Rinne's Test
3. SISI
4. CALORIE Test

Correct answer: 1. BERA

Explanation: Ans. is 'a' i.e., BERA Tests to assess Hearing loss in children1. Otoacoustic emissions2. Auditory Brainstem response {BERA}3. Automated Auditory Brainstem response